Alcoholic Paranoia is associated with -
1. Fixed delusions
2. Hallucinations
3. Drowsiness
4. Impulse agitation

Correct answer: 1. Fixed delusions

Explanation: Alcoholic paranoia refers to an alcohol induced psychotic disorder characterized primarily by fixed delusions.